Over denture used to
1. Preserve alveolar bone
2. Maintain proprioception from periodontal ligament
3. Retention
4. All of the above

Correct answer: 4. All of the above